Triple deformity of knee includes all EXCEPT:
1. Posterior subluxation of tibia
2. Medial rotation of tibia
3. Lateral rotation of tibia
4. Flexion

Correct answer: 2. Medial rotation of tibia

Explanation: Ans. (b) Medial rotation of tibiaRef: Practical Orthopedics, 2th ed. /173* Tuberculosis of the knee is classical cause of triple deformity. It includes:# Flexion# Lateral (external) rotation of tibia# Posterior subluxation of tibia* Better treatment results are seen with ATT and arthrodesis* This condition can also be seen in Rheumatoid arthritis.